Cold agglutinins are seen in -
1. Influenza
2. PAN
3. Multiple myeloma
4. SLE

Correct answer: 1. Influenza

Explanation: Answer- A. InfluenzaThis form of hemolytic anemia is caused by cold agglutinin IgM antibodies.Both intravascular and extravascular hemolysis may occur.Causes of cold agglutinin immunohemolytic anemia :- Mycoplasma infection, IMN, CMV, Influenm, HIV, Malignant lymphoma.